An average-sized hen egg would provide -
1. 50 kcal
2. 70 kcal
3. 90 kcal
4. 110 kcal

Correct answer: 2. 70 kcal

Explanation: An egg weighing 60 grams contain about 70kcal of energyREF.PARK'S TEXTBOOK OF PREVENTIVE AND SOCIAL MEDICINE.Editon-21.Page no.-582.